All of the following statements about synovial fluid are true. Except -
1. Secreted primarily by type A synovial cells
2. Follows Non - Newtonian fluid kinetics
3. Contains hyaluronic acid
4. Viscosity is variable

Correct answer: 1. Secreted primarily by type A synovial cells

Explanation: synovial fluid is plasma transudate from synovial capillaries,modified by secretory activities of type-B synovial lining cells. REF:Turek's.6 th edition.page no.152.